All of the following lie between the 1st rib and the apex of the lung, except
1. Thoracic duct
2. Superior intercostal artery
3. First posterior intercostal vein
4. Sympathetic trunk

Correct answer: 1. Thoracic duct

Explanation: Thoracic duct is in the posterior mediastinum . Ref - BDC 6th editon vol 1 Pg275